Maximum endocapillary proliferation is a feature of-
1. Membranous GN
2. Measangio proliferation GN
3. Focal sclerosis
4. Post streptococcal GN

Correct answer: 4. Post streptococcal GN

Explanation: First, know about different terms related to glomerulonephritis -

Focal glomerulonephritis → When less than 50% of glomeruli are involved.
Diffuse glomerulonehritis →when more than 50% of glomeruli are involved.
Segmental glomerulonehritis →When a portion of glomerular tuft is involved.
Global glomerulonephritis →When most of the part of glomerular tuft is involved.
Proliferative glomerulonephritis → Characterized by increased cellularity of glomeruli. It may be-

(i)   Endocapillary proliferation → when cells in the capillary tufts proliferate.
ii) Extracapillary proliferation → when cellular proliferation extends into Bowman's capsule.
Coming to the question

Poststreptococcal glomerulonephiphritis is acute proliferative glomerulonephritis characterized by diffuse proliferation of glomerular cells, associated with an influx of leukocytes.